Which of the following is not true about transmission -
1. Legionella may be transmitted through water aerosols
2. Listeria may be transmitted through refrigerated food
3. Leptospirosis may be transmitted through water contaminated with rat urine
4. Tetanus may be transmitted through dust and droplets

Correct answer: 4. Tetanus may be transmitted through dust and droplets